Ligament supporting the head of talus ?
1. Talonavicular ligament
2. Cervical ligament
3. Plantar calcaneonavicular ligament
4. Deltoid ligament

Correct answer: 3. Plantar calcaneonavicular ligament

Explanation: Plantar calcaneonavicular ligament Spring ligament (Plantar calcaneonavicular ligament) connects the calcaneum with the navicular bone. o However, its principal job is to provide a sling for the talus, to support the head of talus (though it has no attachment to talus). This aids in supporting the weight of the body. Weaknes or lengthening along this ligament can cause flat foot.